Which of the following favours filtration at the arteriolar end of the capillary bed.
1. Decrease in hydrostatic pressure of capillaries
2. Increase in hydrostatic pressure of capillaries
3. Increase in oncotic pressure of capillaries
4. Decrease in oncotic pressure of interstitium

Correct answer: 2. Increase in hydrostatic pressure of capillaries

Explanation: The rate of filtration at any point depend on 1)Hydrostatic pressure gradient(Hydrostatic pressure of capillaries-hydrostatic pressure of interstitium) 2)Osmotic pressure gradient Net filtration pressure = Hydrostatic pr.gradient-Osmotic pr.gradient So increase in hydrostatic pressure of capillaries favours filtration at the arteriolar end of the capillary bed. Ref :Chapter 37. Renal Function & Micturition. In Barrett K.E., Boitano S, Barman S.M., Brooks H.L. (Eds), Ganong's Review of Medical Physiology, 24e.